An evidence that splenectomy might benefit a patient with idiopathic thrombocytopenic purpura includes which of the following
1. A signifificant enlargement of the spleen
2. A high reticulocyte count
3. Patients age less than five years
4. An increase in platelet count on corticosteroid therapy

Correct answer: 4. An increase in platelet count on corticosteroid therapy

Explanation: Splenectomy is not indicated in non-bleeding ITP for 6 months with platelet count above 50,000 /cu.mm.reaponse rate 80%.relapse of ITP after splenectomy is 10%.it is probably due to hepatic sequestration of platelets in such patients or presence of accessory spleens Ref: SRB's manual of surgery,ed5, pg no 675